Hyperemesis gravidarum is maximum at what gestational age?
1. 6 weeks
2. 9 weeks
3. 28 weeks
4. 36 weeks

Correct answer: 2. 9 weeks

Explanation: Ans. is 'b' i.e., 9 weeksMaximum levels of beta HCG occur on 66th day of pregnancy, i.e. 9 weeks 3 days, and thus hyperemesis is maximum at 9 weeks of gestation.